A 30 years old lady presents to a physician with complaints of hematuria. On evaluation, RBCs were found in the urine but no cause is found on further enquiry it is found that she has gone to many doctors with the same complaint and demanding in patient care. She pricks her finger and mixes blood in the urine sample. Her diagnosis is -
1. Malingering
2. Factitious illness
3. Dissociative disorder
4. Hypochondriasis

Correct answer: 2. Factitious illness

Explanation: Information in this question are: -


Patient is maintaining sick role
There is intentional production of physical sign (Pricks her finger and mixes blood in urine sample).
Multiple doctor visit
Distortion of investigation
No motive has been mentioned other than obtaining medical attention.


Diagnosis is factitious disorder.